All of the following are associated w ith Autonomic Neuropathies, except-
1. Diabetes
2. Amyloid
3. Hyperthyroidism
4. Botulinism

Correct answer: 3. Hyperthyroidism

Explanation: Ans. is 'c' i.e., Hyperthyroidism o Hyperthyroidism is not associated with an autonomic neuropathy.o Thyroid hormones interact with the sympathetic branch of the autonomic nervous system and stimulate/simulate increased activity of sympathetic nervous system. Hyperthyroidism however is not associated with an autonomic neuropathy.Autonomic Neuropathies||Acute/subacute autonomic neuropathiesSubacute autoimmune autonomic ganglio nop a thy (AAG)Chronic peripheral autonomic neuropathies1. Distal small fiber neuropathy2 Combined sympathetic and parasympathetic failurea) Subacute paraneoplastic autonomic neuropathyb) Guillain-Barre syndromec) Botulismd) Porphyriae) Drug induced autonomic neuropathies stimulants,drug withdrawal, vasoconstrictor, vasodilators, beta-receptor antagonists, beta-agonistsf) Toxic autonomic neuropathiesg)Subacute cholinergic neuropathya) Amyloidb) Diabetic autonomic neuropathyc) Autoimmune autonomic ganglionopathy (paraneoplastic and idiopathic)d) Sensory neuronopathy with autonomic failuree) Familial dysautonomia (Riley-Day syndrome)f) Diabetic, uremic, or nutritional deficiency'g) Dysautonomia of old age3. Disorders of reduced orthostatic intolerance-reflex syncope, POTS, associated with prolonged bed rest, associated with space flight, chronic fatigue.